The following statement is true regarding chrono-pharmacology(REPEAT)
1. Study of time related effects of drugs
2. Study of dose related effects of drugs
3. Study of adverse effects of drugs
4. Study of naturally obtained drugs

Correct answer: 1. Study of time related effects of drugs

Explanation: Chrono-pharmacology is the science dealing with effects of drugs in relation to biological clock.